All of the following are true regarding chlorpropamide except:
1. It is short acting
2. It can cause hypoglycemia in elderly
3. Causes weight gain
4. Associated with alcoholic flush

Correct answer: 1. It is short acting

Explanation: Chlorpropamide is a long acting sulfonylurea and can cause prolonged hypoglycemia. HalfLIfe- 36 hrs (REF.Essential of medical pharmacology K D TRIPATHI 6 Edition, Page No - 268)